The number of fontanelles present In a newborn is :
1. 1
2. 2
3. 4
4. 6

Correct answer: 4. 6

Explanation: Fontanelles are membrane filled spaces at the meeting point of sutures . They are 6 in number. Out of 6, two are of obstetric significance: 1) The antetior fontanelle or bregma is the meeting point of the frontal(anteriorly) ,sagittal(posteriorly) and on either side coronal. It becomes ossified 18 months after birth. It becomes pathological if it fails to ossify even after 6 months. Diamond shape 2) The postetior fontenelle or lambda is at the junction of the sagittal suture ( anteriorly) and the two lambdoidal sutures on either side. It usually ossifed by 6-8wks Triangular in shape. Refer page no 76 of DC DUTTA'S Text book of obstetrics,9th edition.